Clinical diphtheria is caused by
1. Corynebacterium diphtheriae
2. Corynebacterium parvum
3. Corynebacterium Ulcerans
4. Streptococcus pyogenes

Correct answer: 1. Corynebacterium diphtheriae

Explanation: Corynebacterium diphtheriae is the causative agent for diphtheria. The incubation period is 3-4 days. The site of infections is faucial, nasal, otitic, laryngeal, cutaneous. According to clinical severity, malignant, septic and hemorrhagic types are there. Reference: Textbook of Microbiology; Anathanarayan and panicker's; 10th edition; Page no: 240